All of the following are associated with better prognosis in schizophrenia except -
1. Late onset
2. Married
3. Negative symptoms
4. Acute onset

Correct answer: 3. Negative symptoms

Explanation: Good prognostic factors:
Acute onset; late onset (onset after 35 years of age); Presence of precipitating stressor; Good premorbid adjustment; catatonic (best prognosis) & Paranoid (2nd best); short duration (< 6 months); Married; Positive symptoms; Presence of depression; family history of mood disorder; first episode; pyknic (fat) physique; female sex; good treatment compliance & good response to treatment; good social support; presence of confusion or perplexity; normal brain CT Scan; outpatient treatment.